Most common lung cancers in non smokers is
1. Squamous cell carcinoma
2. Bronchoalveolar carcinoma
3. Small cell carcinoma
4. Adenocarcinoma

Correct answer: 4. Adenocarcinoma

Explanation: Adenocarcinoma is the most common lung cancers in non smokers.